ECT(electroconvuIsive therapy) is effective in:
1. Conversion disorder
2. Severe depression
3. Mania
4. Dissociation disorder

Correct answer: 2. Severe depression

Explanation: Ans: b (Severe depression) Ref: Ahuja, 6th ed, p. 213, Kaplan & Sadock, 8th ed, p. 2968ECT is the most effective treatment for major depression currently available. Major severe depression with suicidal risk is the first and most important indication for ECT. Mania is mainly treated with mood stabilizers e.g. lithiumIndications of ECTContraindications* Severe schizophrenia not responding to treatmentAbsolute* Catatonic stuporRaised intracranial tension* Catatonic excitementRelative* Psychosis not responding to treatment1. Recent myocardial infarction* Severe depression with suicidal tendency2. Severe hypertension* Severe depression with somatic syndrome3. Cerebrovascular accident* Delusional depression4. Severe pulmonary disease* Acute mania5. Retinal detachment 6. PheochromocytomaSide effectsSide effects associated with general anaesthesiaMemory disturbances (both anterograde and retrodrade amnesia are common) Retrograde memory deficits may persist several months after treatment ends.ConfusionOther side effects include headache, prolonged apnea, prolonged seizure, cardiovascular dysfunction, emergent mania, muscle aches and apprehension. Headache has been reported to occur in as much as one-half of all patients.